Intranasal spray of budesonide is indicated in
1. Acute sinusitis
2. Common cold
3. Perennial vasomotor rhinitis
4. Epistaxis

Correct answer: 3. Perennial vasomotor rhinitis

Explanation: Budesonide A nonhalogenated glucocorticoid with high topical: systemic activity ratio (greater first pass metabolism). Small fraction that is absorbed is rapidly metabolized; less systemic effects, uses:- 1) Asthma 2). Allergic rhinitis 3) prophylaxis and treatment of seasonal and perennial allergic or vasomotor rhinitis, nasal polyposis side effects:- Nasal irritation, sneezing, itching of throat and dryness may occur, especially in the beginning. Ref:- kd tripathi;pg num:- 231